Sling surgery should be avoided in cases of ptosis with:
1. Very poor levator action
2. Poor Bell's phenomenon
3. Weak Muller's muscle
4. Multiple failed surgeries

Correct answer: 2. Poor Bell's phenomenon

Explanation: Ans. Poor Bell's phenomenon